All are true regarding osmotic diarrhea EXCEPT:
1. Due to highly osmotic substances in lumen
2. Fasting may improve symptoms
3. Stool reducing substances are present
4. Can be mediated by bacterial toxins

Correct answer: 4. Can be mediated by bacterial toxins

Explanation: Osmotic diarrhea is caused by nonabsorbed nutrients in the intestinal lumen as a result of one or more of the following mechanisms: (1) intestinal damage (e.g., enteric infection); (2) reduced absorptive surface area (e.g., active celiac disease); (3) defective digestive enzyme or nutrient carrier (e.g., lactase deficiency); (4) decreased intestinal transit time (e.g., functional diarrhea); and (5) nutrient overload, exceeding the digestive capacity (e.g., overfeeding, sorbitol in fruit juice). Whatever the mechanism, the osmotic force generated by nonabsorbed solutes drives water into the intestinal lumen. A very common example of osmotic diarrhea is lactose intolerance. Lactose, if not absorbed in the small intestine, reaches the colon, where it is fermented to short-chain organic acids, releasing hydrogen that is detected in the lactose breath test, and generating an osmotic overload. Another risk for chronic osmotic diarrhea often noted in patients with diarrhea-associated irritable bowel syndrome are foods containing FODMAPs (fermentable oligo- di-monosaccharides and polyols).